The clasps for partial dentures should be made of
1. Gold
2. Iridoplatinum
3. Platinum
4. Silver

Correct answer: 1. Gold